A diabetic patient presents with pus from the eye. Colonies of isolated organisms are grey-white with a microscopic feature of non-septate hyphae and obtuse branching. Diagnosis is
1. Aspergillosis
2. Candidiasis
3. Mucormycosis
4. Histoplasmosis

Correct answer: 3. Mucormycosis

Explanation: Mucor, Rhizopus, lichthemia are associated with mucormycosis. Primary infection is usually in upper respiratory tract or nose spreading the infection to orbit, paranasal sinuses, brain. On microscopy, specimen shows non-septate hyphae. In SDA medium the colonies are grey-white with a thick cotton fluffy surface. Ref: Baveja textbook of microbiology; 4th edition